A 55-year-old man is admitted to the hospital after falling from his roof. Among other injuries suffered in his fall, radiographic examination reveals a fracture of the talus bone in one foot.From what artery does this bone receive its primary vascular supply?,
1. Posterior tibial
2. Anterior tibial
3. Dorsalis pedis
4. Lateral plantar

Correct answer: 1. Posterior tibial

Explanation: The posterior tibial artery provides most of the arterial supply for the neck and body of the talus bone. Much of the blood supply of this bone can be lost in an injury to this vessel and can result in osteonecrosis. The fibular (peroneal) artery provides a small amount of vascular supply. The Medial Plantar and Lateral Plantar branches of the Posterior Tibial Artery are distributed to tissues in the Plantar surface of the foot. The Dorsalis Pedis is the continuation of the Anterior Tibial Artery on the dorsum of the foot.